Among the following, the last part of the ventricle to be depolarized:
1. Epicardium of the base of LV
2. Endocardium of the base of LV
3. Apical epicardium
4. Apical endocardium

Correct answer: 1. Epicardium of the base of LV

Explanation: Depolarization spreads from apex to base and from endocardium to epicardium. Thus, last part of the heart to be depolarized is: epicardium of the base of the LV. The other parts where depolarization reaches last: pulmonary conus, uppermost part of interventricular septum.